An 18 year old male presented with acute onset descending paralysis of 3 days duration. There is also history of blurring of vision for the same duration. On examination, the patient has quadriparesis with areflexia. Both the pupils are non-reactive. The most probably diagnosis is -
1. Poliomyelitis
2. Botulism
3. Diphtheria
4. Porphyria

Correct answer: 2. Botulism

Explanation: Descending paralysis, blurring of vision, quadriparesis (flaccid paralysis), areflexia and nonreactive pupils
Ref:Apurba Sastry’s Essentials of Medical Microbiology 1/e p264, Harrison 19/e p987, 18/e p1201